Increase in P50 in oxygenation curve is due to decrease in
1. PH
2. Oxygen
3. Temperature
4. CO2

Correct answer: 1. PH

Explanation: The strength with which oxygen binds to hemoglobin is affected by several factors. These factors shift or reshape the oxyhemoglobin dissociation curve. A rightward shift indicates that the hemoglobin under study has a decreased affinity for oxygen. ... Left shift: higher O2 affinity Ref: guyton and hall textbook of medical physiology 12 edition page number: 354,355,356